Pure gold fuses at the temperature (in °C) of:
1. 863
2. 1063
3. 1263
4. 1463

Correct answer: 2. 1063